Ubiquitin is a key molecule in protein degeneration. Ubiquitinated proteins are degraded by
1. Chaperone
2. Protease
3. Proteasome
4. Caspase

Correct answer: 3. Proteasome

Explanation: Ubiquinated proteins are degraded by Proteasomes. Abnormal proteins and aged normal proteins conjugate to the polypeptide ubiquitin and then it marks them for degradation(Ubiquitination). The Ubiquitinated proteins are degraded by Proteasomes. Proteasome inhibitor, Bortezomib, is used in multiple myeloma and hepatocellular carcinoma Ref: Harper's illustrated Biochemistry 31st edition Pgno: 664, 1434